The drug imatinib acts by the inhibition of :
1. Tyrosine kinase
2. Glutathione reductase
3. Thymidylate synthetase
4. Protein kinase

Correct answer: 1. Tyrosine kinase